A 25 year old male known case of Sturge Weber syndrome with HBS positive status presented to you with complaints of high grade fever with chills and rigor followed by pleuritic chest pain. He started to have cough, breathlessness and yellow sputum. Chest X - ray showed nonhomogenous opacity in the right lower zone with air bronchogram. What would be the diagnosis in this setting:
1. Pneumonia
2. Pulmonary infarction
3. Pulmonary hemorrhage
4. Porto pulmonary hypertension

Correct answer: 1. Pneumonia

Explanation: Sturge weber syndrome is a rare congenetal disorder associated with portwine stain of face, glaucoma, intellectual disability and seizure disorder and ipsilateral leptomeningeal angioma. Here the patient have all the classical features of pneumonia with radiological features. HBS antigen positive status is probably an incidental finding as nothing more given about the liver status. Ref: Harrison, Edition -18, Page -2131